Weight gain during pregnancy is:
1. 10 kg
2. 12 kg
3. 15 kg
4. 20 kg

Correct answer: 2. 12 kg

Explanation: Ans: B i.e. 12 Kg Weight gain during pregnancy: Reproductive weight gain: 6 Kg (fetus: 3.3 Kg, placenta: 0.6 Kg, liquor: 0.8 Kg, uterus: 0.9 Kg, breasts: 0.4 Kg & accumulation of fat & protein: 3.5 Kg) and Net maternal weight gain: 6 Kg (increase in blood volume: 1.3 Kg & increase in extracellular fluid: 1.2 Kg).